A person wants to study a disease 'x' and fat consumption. He obtained data for number of people affected with 'x' from the government and the details of fat consumption from food industry. Type of study is -
1. Ecological study
2. Cross sectional study
3. Pesiological study
4. Experimental study

Correct answer: 1. Ecological study

Explanation: Ans. is 'a' i.e., Ecological study Similar to previous question, in this question data is utilized at population level (rather than individual level) Data has been collected for many people affected with disease 'X' and the details of fat consumption from food industry --> data is utilized at population level (not at individual level). Thus, it is ecological study. Here I am giving simple example to understand data utilization at population level and at individual level: i) In studies with individuals as unit of study, it is necessary to know the exposure and disease status of all individuals. For example in a case-control study, we take the history of risk factor exposure from every individual whether he/she is of case group or of control group. ii) In ecological study (with population as the unit of study), exposure and disease are not studied at individual level. For example in this, question, data on disease is collected from the government and data on fat consumption is collected from food industry. And the data on fat consumption and disease prevelance is correlated. We have not studied the disease in individuals.